Parasympathetic supply to parotid is through which ganglion-
1. Otic ganglion
2. Submandibular ganglion
3. Pterygoid ganglion
4. Ciliary Ganglion

Correct answer: 1. Otic ganglion

Explanation: Ans. is 'a' i.e., Otic ganglion GangliaSensory rootSympathetic rootSecretomotor rootMotor rootDistributionCiliaryFrom nasociliary nervePlexus along ophthalmic artery-Edinger-Westphal nucleus - oculomotor nerve - nerve to inferior obliqueCiliaris musclesSphincter pupillaeOticBranch from auriculo temporal nervePlexus along middle meningeal arteryInferior salivatory nucleus- phayngeal nerve- tympanic branch- tympanic plexus- lesser petrosal nerveBranch from nerve to medial pterygoidto parotid gland via auriculotemporal nerve Tensor veli palatini and tensor tympani via nerve to medial pterygoid (unrelayed)Pterygopalatine2 branches from maxillary nerveDeep petrosal from plexus around internal carotid arteryLacrimatory nucleus nervus intermedius- facial nerve - geniculate ganglion- greater petrosal nerve + deep petrosal nerve = nerve of pterygoid canal-Mucous glands of nose, paranasal sinuses, palate nasopharynxSome fibres pass through zygomatic nerve - zygomaticotemporal branch to lacrimal nerve-lacrimal glandSubmandibular2 branches from lingual nerveFrom plexus around facial arterySuperior salivatory nucleus- facial nerve - chorda tympani joins the lingual nerve-Submandibular,Sublingual andAnterior lingual glands